All of the following help in opsonisation except:
1. IgG
2. Lectin
3. C reactive protein
4. None of the above

Correct answer: 4. None of the above

Explanation: Chemicals causing opsonisation are called opsonins. These are:

C3b.
Fc fragment of antibody or IgG.
Some serum proteins (like fibrinogen, mannose binding lectin and C reactive protein)